Lingula is which part of lung?
1. Left lower lobe
2. Left upper lobe
3. Right lower lobe
4. Right upper lobe

Correct answer: 2. Left upper lobe

Explanation: Ans. B Left upper lobeRef: Kulkarni Clinical Anatomy, 2nd ed. pg. 943* Left upper lobe is divided into apical lobe and lingular lobe.* The Lingula is a part of the Left upper lobe of lung* It forms left cardiac border.